Which doesn't form the triradiate ligament of uterus?
1. Cardinal ligament
2. Ovarian ligament
3. Uterosacral ligament
4. Pubocervical ligament

Correct answer: 2. Ovarian ligament

Explanation: Ans. is'b'i.e., Ovarian ligament Triradiate ligament includes uterosacral ligament, cardinal ligament (Mackenrodt's ligament or lateral cervical ligament or transverse cervical ligament) and pubocervical ligament.